Lancefield classification is used for:
1. Streptococci and based on protein
2. Streptococci and based on carbohydrate
3. Staphylococci and based on protein
4. Gonococci and based on protein

Correct answer: 2. Streptococci and based on carbohydrate

Explanation: Streptococci and based on carbohydrate